All of the following are true of pulmonary embolism except:
1. Sudden onset of pleuritic pain and hemoptysis and hypotension.
2. ECG shows evidence of acute left ventricular stress.
3. Pulmonary angiography is gold standard
4. CTPA is imaging modality of choice

Correct answer: 2. ECG shows evidence of acute left ventricular stress.

Explanation: Classic Findings in Pulmonary Embolism:- Right Hea strain and Acute Cor Pulmonale - sudden onset of pleuritic chest pain, hemoptysis and hypotension - Tall, peaked P waves in lead II (P pulmonale) - Right axis detion - Right bundle-branch block - S1Q3T3 pattern. On Xray :- Hampton's hump, Westermark sign (areas of relative oligemia secondary to decreased caliber of regional pulmonary aeries) and Palla's sign (Enlarged right descending pulmonary aery )are seen. - CTPA is imaging modality of choice - It shows Rt. ventricular stress instead of left ventricular stress.